Sign suggestive of malignant change in parotid gland tumor-
1. Skin ulceration
2. Increasing pain
3. Facial palsy
4. All of the above

Correct answer: 4. All of the above

Explanation: Ans. is 'd' i.e., All of the above'Red flag' features suggesting the possibility of malignancy include:o Facial nerve weaknesso Rapid increase in the size of the lump.o Ulceration or induration (or both) of the mucosa or skin overlying fixed skino Paraesthesia or anaesthesia of neighbouring sensory nerveso Intermittent pain, increasing relentlessly.o History of previous skin cancer, Sjogren's syndrome or previous radiation to the head and neck.